The antibodies that are seen in Grave's disease are-
1. ANA
2. TSH receptor antibodies (TRAb)
3. Thyroid peroxidase antibodies
4. Anti-T3 antibodies

Correct answer: 2. TSH receptor antibodies (TRAb)

Explanation: ref: Ganong's review of medical physiology; 24th edition; page no;347 Grave's disease an autoimmune disorder which leads to an overactive and enlarged thyroid gland.